Mantoux test is based on which hypersensitivity?
1. Type 1
2. Type 2
3. Type 3
4. Type 4

Correct answer: 4. Type 4

Explanation: Ans. is 'd' i.e., Type 4 Following are the examples of type 4 hypersensitivity reactions :- Type 1 diabetes mellitus Hashimoto thyroiditis Crohn's disease Multiple sclerosis Contact dermatitis Mantoux test